All are causes of night blindness except:
1. Vitamin A deficiency
2. Oguchi disease
3. Myopia
4. Devics disease

Correct answer: 4. Devics disease

Explanation: Devics disease